Supreme LMA characteristic is
1. Has no bite block
2. Used in infants
3. High pressure, low volume
4. Has built in drain tube

Correct answer: 4. Has built in drain tube

Explanation: LMA Supreme is one of the most advanced laryngeal mask airway (LMA)It has features of usual LMA with additional Built-in drain tube and a bite blockIt has high volume/ low-pressure cuff which generates higher seal pressureIt also provides a conduit for active suctioning of stomachIt can be used in infants as well as in adults.(Refer: Morgan and Mikhail's Clinical Anaesthesiology, 5th edition, pg no. 317, 318)